Which organ is involved in Goodpasture syndrome?
1. Liver
2. Adrenals
3. Kidney
4. Brain

Correct answer: 3. Kidney

Explanation: Good pasture syndrome Type II Hypersensitivity reaction. Auto Ab against glomerular basement membrane - type IV collagen Affects kidneys & lung causing hematuria & hemoptysis Characterized by linear deposits.